Natural history of disease can be studied by ?
1. Cross sectional study
2. Ecological study
3. Cohort study
4. RCT

Correct answer: 3. Cohort study

Explanation: Ans. is 'c' i.e., Cohort study Longitudinal studies are used to study natural history of disease. Among the given options, only cohort study is a longitudinal study.